Brain tumor causing hypernatremia in children
1. Medulloblastoma
2. Cerebellar astrocytoma
3. Craniophyrangioma
4. Brain stem glioma

Correct answer: 3. Craniophyrangioma

Explanation: Ans. is 'c' i.e., Craniophyrangioma